Intraductal papillary mucin neoplasm is a precursor of-
1. Mucinous cystic neoplasm
2. Mucinous non-cystic neoplasm
3. Ductal adenocarcinoma
4. Solid pseudopapillary neoplasm

Correct answer: 3. Ductal adenocarcinoma

Explanation: Intraductal papillary mucinous neoplasm (IPMN) 

IPMN is a papillary neoplasm that arises within the main pancreatic duct (MPD) or its branches.
IPMN is characterized by


Intraductal, papillomatous growth pattern
Excessive mucin secretion
Excessive mucin secretion results in progressive ductal dilatation and cyst formation


IPMNs are most commonly localized to the head of the pancreas, but they may occur at any site along the pancreatic ductal system.
IPMTs are premalignant and may histologically demonstrate areas ranging from hyperplasia to carcinoma within a single tumor.
IPMTs which is positive for MUG 2 (Intestinal-type secretory mucin) may form an adenocarcinoma (ductal adenocarcinoma).